Mastoid process is which type of epiphysis
1. Pressure
2. Aberrant
3. Atavistic
4. Traction

Correct answer: 4. Traction

Explanation: Mastoid process is a Traction epiphysis.Traction epiphysis is produced due to the pull of the muscles and therefore provide attachment to the muscle. for e.g., sternocleidomastoid muscle puts a traction upon the mastoid process.Note: The mastoid process does not begin to develop until the end of the second year. Before the mastoid process develops, the facial nerve is a subcutaneous structure and is in danger of being damaged by an incision behind the ear, if it extends too far down. Types of epiphysis: Pressure epiphysis Traction epiphysis Atavistic epiphysis Aberrant epiphysis -Articular ends(takes part in transmission of weight) Example- Head of femur - Nonarticular(does not take part in transmission of weight) *Provides attachment to one or more tendons which exert traction on the epiphysis. Example- Tubercles of humerus, mastoid process. - Phylogenetically an independent bone, which in humans is fused to another bone Example- coracoid process of scapula Is not always present Example- Epiphysis of head of first metacarpal